All of the following conditions of defence available to a doctor against an allegation of negligence except-
1. Medical maloccurrence
2. No fee for treatment charged
3. Therapeutic misadventure
4. Res Judicata

Correct answer: 2. No fee for treatment charged

Explanation: Free treatment of patient does not give immunity (defence) to doctor against negligence. 
Medical maloccurrence, therapeutic misadventure, Res Judicata and reasonable error of judgment can be used as defences against negligence.